Anteroposterior diameter of skull is minimum in:
1. Dolicocephaly
2. Mesaticephaly
3. Brachycephaly
4. Trigonocephaly

Correct answer: 3. Brachycephaly

Explanation: C i.e. Brachycephaly